Which of the following is not a cardiac poison?
1. Aconite
2. Opium
3. Oleander
4. Nicotine

Correct answer: 2. Opium

Explanation: Opium causes respiratory depression. It is not cardiotoxic. Nicotine, oleander, aconite and digitalis are poisons which are principally cardiotoxic.